All are true about Giant cell arteritis except -
1. Involves large to small sized arteries
2. Granulomatous inflammation
3. Most commonly involved artery is abdominal aorta
4. Segmental nature of the involvement

Correct answer: 3. Most commonly involved artery is abdominal aorta

Explanation: It is the most common form of systemic vasculitis in adults, is an acute and chronic, often granulomatous, inflammation of arteries of large to small size.
It affects principally the arteries in the head-especially the temporal arteries — but also the vertebral and ophthalmic arteries and the aorta, where it may cause thoracic aortic aneurysm